The most common cause of severe hypercalcemia is-
1. Vitamin D toxicity
2. Sarcoidosis
3. Chronic renal failure
4. Malignancy

Correct answer: 4. Malignancy

Explanation: Causes of hypercalcaemia are listed in Box 20.36. Of these, primary hyperparathyroidism and malignant hypercalcaemia are by far the most common. Familial hypocalciuric hypercalcaemia (FHH) is a rare but important cause that needs differentiation from primary hyperparathyroidism (HPT). Lithium may cause hyperparathyroidism by reducing the sensitivity of the calcium-sensing receptor. Causes of hypercalcaemia- With normal or elevated PTH levels *Primaryoertiaryhyperparathyroidism *Lithium-inducedhyperparathyroidism *Familialhypocalciuric hypercalcaemia With low PTH levels *Malignancy(lung,breast,myeloma,renal,lymphoma, thyroid) *Elevated1,25(OH)2vitaminD(vitaminDintoxication, sarcoidosis,HIV,othergranulomatousdisease) *Thyrotoxicosis *Paget'sdiseasewithimmobilisation *Milk-alkalisyndrome *Thiazidediuretics *Glucocorticoiddeficiency DAVIDSONS PRINCIPLE AND PRACTICE OF MEDICINE 22ND EDITION PAGENO-767